Which is the following is the commonest site for intracranial bleed?
1. Cerebellum
2. Pons
3. Medulla
4. Putamen

Correct answer: 4. Putamen

Explanation: Most common sites of intracranial hemorrhage are basal ganglia (putamen) > thalamus > deep cerebellum > pons. Hypertensive intraparenchymal hemorrhage develop over 30 - 90 minutes and those associated with anticoagulant therapy evolve over 24 - 48hours. Reference: Harrison's Principles of Internal Medicine 18th edition, chapter 370.